Epithelium of oral mucous membrane is
1. Keratinized
2. Non keratinized
3. Ortho, para and non keratinized
4. Only para keratinized

Correct answer: 3. Ortho, para and non keratinized